C-ANCA is/are associated with:
1. Wegener's granulomatosis
2. Microscopic polyangitis
3. Churg strauss syndrome
4. PAN

Correct answer: 1. Wegener's granulomatosis

Explanation: Ansi A (Wegener's granulomatosis) ANCA (Antineutrophic Cytoplasmic Antibodies):# ANCA (Antineutrophic cytoplasmic antibodies): are Antibodies directed against certain proteins in cytoplasmic granules of Neutrophil & monocytes.# These are two categories of ANCA based on different targets for theantobidies.Anti neutrophil Cytoplasmic Antibodies( ANCA)ANCA antigens are :c-ANCA : Proteinase 3Qp- AjVCA ; Myeloperioxidase QANCAs serve as useful quantitative diagnostic markers for associated conditions & their level may reflects the degree of inflammatory activityANCAs rises in episode of recurrence Classification of vasculitis || || Large-Vessel Medium-Vessel Small-Vessel Temporal arteritisQ Takayasu arteritis Polyarteritis nodosa kawasaki disease|| ---------------------------- | |ANCA-positiveANCA-negativeWegener Is granulomatosisQMicroscopic polyarteritisChurg-strauss syndromeRenal-limited vasculitis (crescentric glomerulonephritis)|Henoch-Scholien purpuraQ Essential cryoglobulinemic vasculitisCutaneous leucocyto angitisQ Behcets syndrome| | CANCA predominant ANCA inPANCA Predominant ANCA inWegener's granulomatosisQMicroscopic polyangitisQChurg-Strauss syndromeCrescentric glomerulonephritisQRenal-limited vasculitis